Disproportionately increased blood urea levels compared to serum creatinine (urea creatinine ratio 20:1) can be seen in the following except -
1. Prerenal failure
2. CCF
3. Intrinsic renal failure
4. Hypovolumia

Correct answer: 3. Intrinsic renal failure